Reversal of SMA and SMV relationship is seen in?
1. Midgut Volvulus
2. Duodenal Atresia
3. Annular pancreas
4. Ileal Atresia

Correct answer: 1. Midgut Volvulus

Explanation: Figure: Inversion in the SMA/SMV relationship with the SMA on the right and the SMV on the left. Figure: Whirlpool sign with twisting of mesentery and mesenteric vessels, is seen in Malrotation/ MidGut Volvulus.